The use of broad-spectrum antibiotics can produce a bleeding diathesis characterized by hematomas, hematuria, melena, and bleeding from the gums by decreasing the normal gut flora and inducing a deficiency of:
1. Vitamin A
2. Vitamin B1
3. Vitamin B6
4. Vitamin K

Correct answer: 4. Vitamin K

Explanation: A deficiency of vitamin K, which can result from fat malabsorption, broad-spectrum antibiotics, or diffuse liver disease, produces a bleeding diathesis characterized by hematomas, ecchymoses, hematuria, melena, and bleeding from the gums. Laboratory tests reveal an increased bleeding with prolonged PT and PTT and normal bleeding time.